In a asthmatic patient; causative agent was found to be fungi with septate hyphae. The organism is :
1. Aspergillus
2. Candida
3. Mucor
4. Cryptococcus

Correct answer: 1. Aspergillus

Explanation: A fungi with septate hyphae in asthmatic patient can be none other than aspergillus, and this is a case of allergic bronchopulmonary aspergillosis